Persistent coarse crepitations in the chest are diagnostic of?
1. Pulmonary TB
2. Pulmonary edema
3. Cavity lesion
4. Bronchiectasis

Correct answer: 4. Bronchiectasis

Explanation: Fine crackles Coarse crackles Soft, high-pitched and very brief Louder, lower in pitch and last longer Indicates an interstitial process- pulmonary fibrosis or congestive heart failure. Indicates an airway disease- bronchiectasis.